Digoxin is used in the treatment of-
1. Constictive pericarditis
2. Cardiac tamponade
3. atrial fibrilation
4. tachycardia

Correct answer: 3. atrial fibrilation

Explanation: most common use of digoxin is in treatment of atrial fibrilation,atrial flutter,and heart failure Digoxin remains one of the most frequently prescribed drugs in the management of atrial fibrillation. The main indications for digoxin in atrial fibrillation are restoration of sinus rhythm, prevention of recurrence and slowing of the ventricular rate . Ref Davidson 23rd edition pg 450